Which of the following are indications of TURP for BHP? 1. Prostatism 2.Acute retention of urine 3. Haematuria 4.Complications like hydronephrosis
1. 1,2 and 3
2. 2,3 and 4
3. 1,2 and 4
4. 1,2,3 and 4

Correct answer: 4. 1,2,3 and 4

Explanation: Indications for surgery in BPH Prostatism (frequncy,urgency,dysuria) Acute rention of urine Chronic retention of urine with residue more than 200ml Haematuria Complications like hydroureter , hydronephrosis , stone formation , bladder changes etc ref- srb's manual of surgery 5e p 1045